General anaesthetic most likely to cause bronchodilation is
1. Thiopentone
2. Ketamine
3. Propofol
4. Fentanyl

Correct answer: 2. Ketamine